Most commonly used retarder in gypsum:
1. Na2 SO4
2. Nacl
3. Citrates
4. K2 SO4

Correct answer: 3. Citrates